Which of the following mutations in a tumor suppressor agent causes breast carcinoma
1. P43
2. P53
3. P73
4. P83

Correct answer: 2. P53

Explanation: Ref Robbins 9/e p294 Mutation in p53 tumor suppressor gene is strongly associated with breast cancer,as well as many other sarcomas and carcinomas .this condition is called li Fraumeni syndrome Li-Fraumeni syndrome is a rare, autosomal dominant, hereditary disorder that pre-disposes carriers to cancer development This syndrome is also known as the sarcoma, breast, leukaemia and adrenal gland (SBLA) syndrome. The syndrome is linked to germline mutations of the p53 tumor suppressor gene, which encodes a transcription factor (p53) that normally regulates the cell cycle and prevents genomic mutations. The mutations can be inherited, or can arise from mutations early in embryogenesis, or in one of the parent's germ cells